What is the approximate penetrating ability of alpha particle radiation at tissue level -
1. 0.05 mm
2. 0.10 mm
3. 1.50mm
4. 2.00 mm

Correct answer: 1. 0.05 mm

Explanation: Park's textbook of preventive and social medicine 23rd edition. * Alpha particles approximate penetrating ability - 4cm - 0.05 cm - 0